Ophitoxemia means
1. Oxalicacid poisoning
2. Poisoning by corrosive materials
3. Venomous snake bite
4. Virtual poisoning

Correct answer: 3. Venomous snake bite

Explanation: Ophitoxemia Poisoning by snake bite is called ophitoxemia. About 2000 species of snakes are identified all over the world. Among the total number of snakes less than 10% are poisonous. Ref: FORENSIC MEDICINE AND TOXICOLOGY Dr PC IGNATIUS THIRD EDITION PAGE 509